Paul bunnel reaction is a type of -
1. Agglutination
2. CFT
3. Precipitation
4. Flocculation test

Correct answer: 1. Agglutination

Explanation: Paul - Bunnell test for diagnosis of infectious mononucleosis are heterophile agglutination test. When a particulate antigen is mixed with its antibody in the presence of electrolytes at a suitable temperature and pH, the particles are clumped or agglutinated. Reference : Anathanarayan & paniker's 9th edition, pg no:108, 109